Coenzyme required for transketolase reaction is
1. Ca2+
2. Mg2+
3. H+
4. PO4-

Correct answer: 2. Mg2+

Explanation: Transketolase transfers the two-carbon unit comprising carbons 1 and 2 of a ketose onto the aldehyde carbon of an aldose sugar. It, therefore, effects the conversion of a ketose sugar into an aldose with two carbons less and an aldose sugar into a ketose with two carbons more. The reaction requires Mg2+ and thiamin diphosphate (vitamin B1) as the coenzyme. Measurement of erythrocyte transketolase and its activation by thiamin diphosphate provides an index of vitamin B1 nutritional status.Ref: Harper's Biochemistry; 30th edition; Chapter 20; The Pentose Phosphate Pathway & Other Pathways of Hexose Metabolism